All can cause R.P.G.N., except :
1. Minimal change glomerulonephritis
2. Poststreptococcal glomerulonephritis
3. Wegener granulomatosis
4. S.L.E.

Correct answer: 1. Minimal change glomerulonephritis

Explanation: Answer is A (Minimal change disease): Rapidly progressive glomerulonephritis is a syndrome associated with severe glomerular injury. It does not denote a specific etiologic form of glomerulonephritis. RPGN is defined by 2 criteria.- Chandrasoma Taylor Presence of epithelial crescents in more than 70% of glomeruli Q Occurrence of rapidly progressive renal failure. End stage disease occurs within months. Causes of rapidly progressive glomerulonephritis table 48.4 Chandrasoma Taylorri